A person has been brought in casualty with history of road accident. He had lost consciousness transiently and then gained consciousness but again became unconsious. Most likely, he is having brain hemorrhage of
1. Intracerebal
2. Sub arachnoid
3. Sub dural
4. Extra dural

Correct answer: 4. Extra dural

Explanation: .extradural haematoma is the collection of blood in the extradural space between the dura and skull. most common site is the temporoparietal region.usually it is associated with fracture of temporoparietal region. immediately after injury , there is transient loss of consciousness and the patient soon become normal. later after 6-12 hours , he again falls ill and the condition deteriorates. this is the time taken to develop raised intracranial pressure,coning and its effects. this crucial time gap is called lucid interval. (Ref : SRB's Manual of Surgery, 5th editin , pg no.1095)